Putrefaction of body in air compared to earth is:
1. Same
2. Two times
3. Four times
4. Eight times

Correct answer: 4. Eight times

Explanation: Ans. Eight times